Soil may act as reservoir for all except-
1. Brucellosis
2. Anthrax
3. Tetanus
4. Coccidiomycosis

Correct answer: 1. Brucellosis

Explanation: Reservoir of infection of brucellosis: Main reservoirs of human infection are cattle, sheep, goats, swine, buffaloes, horse and dogs Cross infection can occur between animal species The animals may remain infected for life. Ref: 25th edition, Park's Textbook of Preventive and Social Medicine, Page no. 317